Test for malabsorption syndrome is all except?
1. D- Xylose absorption test
2. Fecal fat estimation
3. Urine aminoaciduria
4. Breath Hydrogen test

Correct answer: 3. Urine aminoaciduria

Explanation: D- Xylose absorption test: Mucosal disease in Small Intestine Fecal Fat animation: Steatorrhea Breath Hydrogen test: Carbohydrate malabsorption Urine aminoaciduria: Fanconi Syndrome